Epitheloid cell is a modified -
1. Lymphocyte
2. Macrophage
3. Mast cell
4. Eosinophil

Correct answer: 2. Macrophage

Explanation: Ans. is 'b' i.e., Macrophages